10 month old child can not perform?
1. Standing with support
2. Pincer group
3. Walking with suppor
4. Two words with meaning

Correct answer: 4. Two words with meaning

Explanation: Ans. is 'd' i.e., Two words with meaning